One of your patients is found to be dyspnoeic. Auscultation of the Lungs revealed bilateral diffuse wheeze. Which drug would you like to use for fastest relief?
1. Salmeterol
2. Ipratropium Bromide
3. Monteleukast
4. Salbutamol

Correct answer: 4. Salbutamol